Poly arteritis nodosa does not involve
1. Pulmonary artery
2. Bronchial artery
3. Renal artery
4. Cerebral artery

Correct answer: 1. Pulmonary artery

Explanation: Polyarteritis nodosa (PAN) is a systemic vasculitis of small or medium sized muscular arteries, typically involving renal and visceral vessels but sparing the pulmonary circulation.      
P  A  N -----
* Pulmonary  artery not involved.
*P ANCA -negative